Which dye is best used for defining corneal erosions and ulcers?
1. Lissamine green
2. Indocyanine green
3. Rose Bengal
4. Fluorescein

Correct answer: 4. Fluorescein

Explanation: 1.Fluorescein - fluorescein impregnated strips used Uses Corneal staining to detect abrasion and ulcers. Lacrimal tests includes tear film break up time , Jane's test for watering eye. Seidel's Test. To detect leakage of aqueous from AC 2. Lissamine green stains degenerated and dead cells -used in ocular surface disorders -Eg keratoconjunctivitis 3. Indocyanin green (lCG) has a high protein binding capacity Used in Fundus angiography - for disorders involving choroidal vasculature ICG-enhanced anterior/posterior capsulorrhexis - childhood/adult cataract with no fundus glow. 4. Rose bengal(1%) is used for staining of margins of dendritic ulcers